All are true about vocal cord nodule except:
1. Caused by phonotrauma
2. Commonly occur at Junction of middle & posterior 1/3
3. Common at junction of A 1/3 with P 2/3
4. Common in teachers

Correct answer: 2. Commonly occur at Junction of middle & posterior 1/3

Explanation: Ans:B (Commonly occur at Junction of middle & posterior 1/3 ) VOCAL NODULES (SINGER'S OR SCREAMER S NODES)PL Dhingra 6th/303-04# Their size varies from tha t of pin-head to half a peaThey are the result of vocal trauma when person speaks in unnatural low tones for prolonged periods or at high intensitiesThey mostly affect teachers, actors, vendors or pop singers. They are also seen in school going children who are too assertive <PS# talkativePatients complains of hoarseness. Vocal fatigue & pain in the neck on prolonged phonation are other common symptomsEarly cases of vocal nodules can he treated conservatively by educating the patient in proper use of voice. With this treatment, many nodules in children disappear completelySurgery is required for large nodules or nodules of long standing in adults. They are excised with precision under operating microscope either with cold instruments or laser avoiding any trauma to the underlying vocal ligamentSpeech therapy & re-education in voice production are essential to prevent their recurrenceVocal nodules(Singer's or Screamer's nodes): They appear symmetrically on the free edge of vocal cord, at the junction of anterior one-third, with the posterior two-third, as this is the area of maximum vibration of cord & thus subject to maximum trauma P.L. Dhingra 6th/303Fig. .Vocal nodules. Typically, theyr form at the junction of anterior one- third with posterior two-thirds of vocal cards